Skin over hypothenar eminence is supplied by?
1. Radial nerve
2. Median nerve
3. Anterior interosseous nerve
4. Ulnar nerve

Correct answer: 4. Ulnar nerve

Explanation: Ulnar nerve